Maxillary artery is divided into 3 parts by
1. Lateral pterygoid
2. Medial pterygoid
3. Buccinator
4. None

Correct answer: 1. Lateral pterygoid